Which of the following blocks replication without getting involved in the DNA strand ? a) Cytarabine b) Nalidixic acid c) Ciprofloxacin d) 5–Fluorouracil e) 6–Mercaptopurine
1. be
2. cd
3. bc
4. bd

Correct answer: 3. bc